All are tuning fork test except-
1. Schwaback test
2. Grants test
3. Rinne's test
4. Weber's test

Correct answer: 2. Grants test

Explanation: Ans. is 'b' i.e., Grants test Assessment of hearingo Assessment of hearing is done by following methodsClinical tests : - Tuning fork testsAudiometric testsSpecial testsClinical testingAudiometric testsSpecial testso Finger friction testo Pure tone audiometryo Recruitmento Watch testo Speech audiometryo Short increment sensitivity test (SISI)o Speech testo BekesyAudimetryo Threshold tone decay test* Electrocochleography (EcoG)* Auditory' brainstem resposne (ABR)o Tuning fork tests* Rinne test* Weber test* Absolute bone conduction (ABC)* Schwabach's test* Bing test* Gelle's testo Impedance audiometry# Tympanometry# Acoustic reflex measurmento Otoacoustic emission (OAEs)o Central auditory' tests